The major antiseptic value of soap lies in its ability to:
1. Kill microbes
2. Remove microbes
3. Inhibit microbial growth
4. Dehydrate microbial cells

Correct answer: 2. Remove microbes